Which of the following is the commonest genetic mutation in a 50 year old obese female presenting with postmenopausal bleeding and diagnosed with endometrial cancer?
1. P53
2. PTEN
3. CHD4
4. Beta catenin

Correct answer: 2. PTEN

Explanation: 50 year old obese female with endometrial cancer most likely to be type I Endometrial cancer rather than type II which happens in elderly female >65yrs. Type I Type II - 55-56 yo - Endometroid - Hyperplasia - Indolent - PTEN Genetic Mutation - 65-75 yo. - Clear cell serous - Atrophy - Aggressive - P 53 gene mutation